Repeated use of halothane causes –
1. Hepatitis
2. Pancreatitis
3. Encephalitis
4. Meningitis

Correct answer: 1. Hepatitis